Presbycusis is
1. Loss of accommodation power
2. Hearing loss due to ageing
3. Noise induced hearing loss
4. Congenital deafness

Correct answer: 2. Hearing loss due to ageing

Explanation: Presbycusis is a sensorineural hearing loss associated with ageing. Manifests at the age of 65years (Ref: Diseases of EAR, NOSE AND THROAT by PL DHINGRA - 6th Edition)